A40 year male has Hb-10 gm%, MCV-65 fL, RDW16%, platelet count 4.5 lac/pt. Additional finding are -
1. Low S. transferrin
2. T Iron binding capacity
3. T Serum copper
4. T S. ferritin

Correct answer: 2. T Iron binding capacity

Explanation: Ans. is 'b' i.e., is Iron binding capacity This male is presenting with 1.1 Anemia (Hb-10 gm%) Normal value for male is > 13 gm% MCV (65 fL) --> Normal value is between 82-96 fL T RDW (16%) Normal red cell distribution width ranges between 11-14%. Thrombocytosis (platelet count 4.5 lac/pL) --> Normal value is between 1-3 lac/uL o It has already been explained that MCV is decreased and RBW is increased in iron deficiency anemia. About thrombocytosis? o Although thrombocytosis in association with iron deficiency anemia is well documented, the mechanism remains unclear. o Thrombocytosis is believed to be caused by increased erythropoietin, which is known to have some structural homology with thrombopietin. So, this male is suffering from iron deficiency anemia, in which iron binding capacity is increased, and serum ferritin is decreased. option 'a' requires some explanation: Serum transferrin binds to iron and normally 15-50% of transferrin is saturated with iron and the remaining is free in the serum as serum transferrin. o In iron deficiency anemia transferrin saturation decreases below 15% --> serum transferrin level is increased.